A Woman, 29 yrs, married for 3 years, unable to conceive, has regular menstrual cycles, mild dysmenorrhea, Her pelvic scan shows an intramural fibroid of 3 cms and a follicular ovarian cyst A tubal assessment by HSG is normal as well. Husbands semen analysis is normal and so is his hormonal profile. Which of these is the most likely cause for infertility?
1. Polycystic ovarian disease
2. Fibroid uterus
3. Endometriosis
4. Tubal factor

Correct answer: 3. Endometriosis

Explanation: HINTS TO DIAGNOSIS: A regular cycle almost rules out PCOD, Normal HSG , rules out tubal factor Fibroid is too small to be significant Male factor infertility is ruled out Young woman with infertility with regular menstrual cycles, normal pelvic imaging and normospermic partner with or without Dysmenorrhea satisfies the criteria of Un-explained Infertility and the prevalence of endometriosis in such cases is as high as 50 %.